Viral enterotoxin is detected as a possible mechanism of pathogenesis in :
1. Adeno virus
2. Rota virus
3. Calcivirus
4. Astrovirus

Correct answer: 2. Rota virus

Explanation: Mechanism of Rotavirus diarrhea :
a. Rotavirus destroy mature enterocytes of proximal small intestine.

Loss of absorptive villi and proliferation of secretory crypt cells

– Secretory diarrhea

Brush border enzymes are reduced so unmetabolized disaccharides accumulates resulting.

– Osmotic diarrhea
b. NSP4 = enterotoxin which alteres epithelial cell function and permeability causing secretory diarrhea.
c. Virus evoke fluid secretion by the activation of enteric nervous system in intestinal wall.